Vaccines contraindicated in pregnancy are all EXCEPT:
1. BCG
2. OPV
3. Yellow fever
4. Hepatitis B

Correct answer: 4. Hepatitis B

Explanation: Hepatitis B REF: Williams 22nd ed chapter 8 "Live vaccines are not recommended during pregnancy and ideally should be given at least 1 month before attempts to conceive" Live vaccines can me memorized as "BOMBEY-VT"; BCG, OPV (sabin), MMR (mumps, measles & rubella), Bubonic plague, epidemic typhus, yellow fever (17D), vaccinia, Oral Typhoid vaccine (Ty21a)